Normal conjunctival flora is
1. E. coli
2. Pseudomonas
3. Coagulase negative staphylococci
4. Lactobacillus

Correct answer: 3. Coagulase negative staphylococci

Explanation: Answer- C. Coagulase negative staphylococciResident flora-Coagulase negative staphylococci (most common)MicrococciHaemphillusCorneybacterium xerosis